The treatment of choice for inguinal hernia in infants is -
1. Herniotomy
2. Herniorrhapy
3. Truss
4. Hernioplasty

Correct answer: 1. Herniotomy